Commonest cause for bilateral proptosis children is:
1. Cavernous hamangioma
2. Chloroma
3. Fibrous histiocyloma
4. Rhabdomyosarcoma

Correct answer: 2. Chloroma

Explanation: Ans. Chloroma